All of the following statements are true about development dysplasia (DDH) of the hip, except -
1. It is More common in females
2. Oligohydranmios is associated with a higher risk of DDH
3. The hourglass appearance of the capsule may prevent a successful closed reduction
4. Twin pregnancy is a known risk factor

Correct answer: 4. Twin pregnancy is a known risk factor

Explanation: "Uterus in twin pregnancy cannot be regarded as a risk factor for DDH". — Journal of pediatric orthopedics

DDH is more common in females.
Oligohydramnios is a risk factor for DDH.